F body is
1. Y chromatin
2. X chromatin
3. Chromosome 1
4. Chromosome 21

Correct answer: 1. Y chromatin

Explanation: Ans. (a) Y chromatin(Ref: Emery Genetics)Quinacrine, a fluorescence dye, binds strongly to the Y chromosome forming a bright fluorescent spot (F body). This is clearly visible in stained interphase cells from various tissues from the human male and in mature spermatozoa